Buprenorphine on opioid receptors is:
1. Pure agonist
2. Pure antagonist
3. Partial agonist
4. None

Correct answer: 3. Partial agonist

Explanation: Pure morphine like opioids in general acts on Mu and K receptors. Mixed agonists-antagonists: Nalorphine Butorphanol Pentazocine Partial agonists: Buprenorphine Pure competitive opioid antagonists Naloxone Naltrexone Nalmefene Ref: K.D.T 6th Ed Page 464.